Which of the following is not a branch of cavernous part of internal carotid artery?
1. Inferior hypophyseal branch
2. Meningeal branch
3. Cavernous branch
4. Pterygoid branch

Correct answer: 4. Pterygoid branch

Explanation: The pterygoid branch is not a branch of the cavernous part of the internal carotid artery. It is a branch of the petrous part. Internal Carotid artery branches Part Course Branches Cervical part Originates from thr bifurcation of the common carotid artery. It has a dilatation at the lower end which is known as carotid sinus. It ascends in front of the transverse process of the upper three cervical vertebrae - Petrous part Passes through the carotid canal in the petrous part of the temporal bone Caroticotemporal branch Artery to the pterygoid canal Cavernous part Runs in the cavernous sinus Branch to the trigeminal ganglion Meningeal branch Branch to the cavernous sinus Hypophyseal branches Cerebral part/Supracavernal part Enters subarachnoid space by piercing arachnoid mater and divides into the anterior and middle cerebral arteries. Ophthalmic artery Anterior choroidal artery Posterior communicating artery Ref: Gray's Anatomy 41st edition Pgno: 280